Western blot is used for?
1. DNA
2. RNA
3. PROTEINS
4. mRNA

Correct answer: 3. PROTEINS